A glycoprotein that promotes new attachment and increased cell proliferation is:
1. Fibronectin
2. Fibro pectin
3. Glycogen
4. Glycoaminologlycan

Correct answer: 1. Fibronectin